Active search for disease in an apparently healthyindividual is k/a
1. Monitoring
2. Case finding
3. Screening
4. Sentinel surveillance

Correct answer: 3. Screening

Explanation: screening Screening is defined as 'the search for unrecognized disease or defect by means of rapidly applied tests, examination or other procedures in apparently healthy individuals." Other terms Case finding : is the use of clinical and/or laboratory tests to detect disease in individuals seeking health care for other reasons for example ELISA for HIV in pregnant women. Monitoring : is performing and analysing routine measurements to detect changes in the health status of population or changes in the environment for eg. monitoring of air pollution, water quality, growth and nutritional status etc. Sentinel surveillance : As no routine notification system can detect all cases of infection or disease, sentinel surveillance is a method to identify the missing cases.